The Iodine is transported into the thyroid gland by:
1. Active transport
2. Simple diffusion
3. Pinocytosis
4. Receptor-mediated endocytosis

Correct answer: 1. Active transport

Explanation: The active transport system by which iodine is taken up by the thyroid gland is called the "iodide trap". Its effectiveness is sometimes assessed by thyroid: serum ratio (T/S) of iodine concentration. Normally, T/S ratio is about 30. The sodium-iodide symporter (NIS) is located on the basal aspect of the follicular cell membrane. This symporter uses Na+ gradient across the membrane to transport 1 iodide along with 2 Na+ into the cytosol of the follicular cell. It is a secondary active transport; Na+-K+-ATPase would be required to pump Na+ out of the cell and maintain the Na+